All are characteristics of 3rd nerve except
1. Carries parasympathetic nerve
2. Supplies inferior oblique
3. Enters orbit through the inferior orbital fissure
4. Causes miosis

Correct answer: 3. Enters orbit through the inferior orbital fissure

Explanation: Occulomotor nerve supplies all extraocular muscles (except superior oblique and lateral rectus) and levater palpabrae superioris.
It also supplies sphinctor pupillae and ciliary muscles through parasympathetic general visceral efferent fibres.
It leaves the cranial cavity through superior orbital fissure.